Circumvallate papillae are supplied by
1. Chordotympanic nerve
2. Vagus nerve
3. Glossopharyngeal nerve
4. Fascial nerve

Correct answer: 3. Glossopharyngeal nerve

Explanation: Glossopharyngeal nerve is the nerve of the third branchial arch and supplies the only muscle of that arch, the stylopharyngeus. It carries sensory fibers from the posterior one-third of tongue, tonsil, pharynx, middle ear, taste fibers from posterior one-third of the tongue and circumvallate papillae. Lastly, it provides secretomotor fibers to parotid glandReference: Chourasia head and neck; 6th edition; Page no:165